Bipolar II disorder includes -
1. Cyclothymic disorder
2. Dysthymia
3. Single maniac episode
4. Major depression and hypomania

Correct answer: 4. Major depression and hypomania

Explanation: Ans. is 'd' i.e., Major depression and hypomania o Bipolar mood disorder include mania (recurrent episodes of mania alone), and episodes of mania & depression (manic - depressive illness). Bipolar disorder can be categorized into : - Bipolar I: - Episodes of mania and major depression with euthymic (normal mood) in between. Bipolar II: - Episodes of hypomania (rather than mania) and major depression. o Cyclothymic disorder It is a more subdued version of bipolar disorder, characterized by depressive spells and hypomanic times that never have sufficient intesity or duration to meet full diagnostic measure. It has to be chronic (2 years or more). Note: As the duration is > 2 years, cyclothymia is also considered as persistent mood disorder, o Bipolar NOS (not otherwise specified): - Episodes of mania and depression that can't fit into any other bipolar categories. o Some genes play an important role in bipolar mood disorder. Genes on long arm of chromosome 18 fpGt94> may plav a role in some families. Other chromosome involved are 22 and 21. The current episode in bipolar mood disorder is specified as one of the following 1. Hypomania 2. Mania without psychotic features 3. Mania with psychotic fetures 4. Mild or Moderate depression 5. Severe depression with psychotic symptoms 6. Severe depression without psychotic symptoms 7. Mixed, or 8. In remission